Which of the following is not the source of cytosolic NADPH ?
1. Isocitrate dehydrogenase
2. ATP citrate lyase
3. Malic enzyme
4. G6PD

Correct answer: 2. ATP citrate lyase

Explanation: Answer. B. ATP citrate lyaseNADPH is a cofactor used in anabolic reactions, such as lipid and nucleic acid synthesis, which require NADPH as a reducing agent.The major source of NADPH in animals and other non-photosynthetic organisms is the pentose phosphate pathway.The key enzymes in these processes are: NADP-linked malic enzyme, NADP-linked isocitrate dehydrogenase, NADP-linked glutamate dehydrogenase and nicotinamide nucleotide transhydrogenase.